Primary ciliary dyskinesia is associated with all except
1. Sterility in males
2. Hypothyroidism
3. Sinusitis
4. Respiratory infection

Correct answer: 2. Hypothyroidism

Explanation: Primary ciliary dyskinesia or kartagener's syndrome is an autosomal recessive genetic disorder that causes defects in the cilia lining respiratory tract and flagella of sperm cells.It is characterised by repeated respiratory infections like sinusitis,bronchitis;otitis media and infertility.